Cause of hydrocele in infants ?
1. Patent processus vaginalis
2. Patent gubernaculum
3. Impaired drainage
4. Epididymal cyst

Correct answer: 1. Patent processus vaginalis

Explanation: Ans. is 'a' i.e., Patent processus vaginalis